All of the following can cause SLE like syndrome EXCEPT
1. INH
2. Penicillin
3. Hydralazine
4. Sulphonamide

Correct answer: 2. Penicillin

Explanation: Ref - researchgate.net